Which of the following is not a feature of Chronic Renal Failure?
1. Hyperparathyroidism
2. Osteomalacia
3. Hyperthyroidism
4. Decreased 1, 25(OH)2 vitamin D3 level

Correct answer: 3. Hyperthyroidism

Explanation: Choice A and D In CRF vitamin D3 production is low. This leads to low serum calcium and resultant secondary hyperparathyroidism. The increased PTH will increase the resorption of bones leading to osteitis cystica fibrosa Choice B Due to hyperphosphatemia, the increased phosphate chelates with calcium- | incidence of calcification of coronary arteries, heart valves and hence the less availability of calcium can explain the osteomalacia.